Carotid artery stenosis in -vivo screening choice is
1. USG
2. CT
3. MRI
4. Doppler

Correct answer: 4. Doppler

Explanation: Most carotid imaging is now performed with Doppler ultrasound, CTA, MRA performed without exogenous contrast injection such as 2- or 3-dimensional time-of-flight (TOF) methods or contrast-enhanced MRA (CEMRA) performed dynamically after an intravenous bolus of gadolinium-based contrast.CEMRA is the most accurate method of carotid stenosis evaluation(Grainger and Allison's diagnostic radiology 6th edition, page 1475)